Which of the following drug used for obsessive compulsive disorder has maximum anticholinergic effect?
1. Fluvoxamine
2. Sertraline
3. Clomipramine
4. Buspirone

Correct answer: 3. Clomipramine

Explanation: Clompramine is a Tricyclic Antidepressant used in OCD, which also possess significant anticholinergic property.